High-frequency audiometry is used in
1. Otosclerosis
2. Ototoxicity
3. Non-organic hearing loss
4. Meniere disease

Correct answer: 2. Ototoxicity

Explanation: High-frequency audiometry (>8000KHz) is used to detect sensorineural hearing loss due to ototoxicity. Other tests: OAE, Electrocochleography Audiometry graph of ototoxicity due to gentamicin Ref : Diseases of ENT by Dhingra 6th edition Pgno : 38